Only mycobacteria which produces exotoxin -
1. M. tuberculosis
2. M. Ajarinum
3. M. Ulcerans
4. M.Bavis

Correct answer: 3. M. Ulcerans

Explanation: Ans. is 'c' i.e., M. Ulcerans * Buruli ulcer is caused by M. ulcerans.* It is the only mycobacteria producing a toxin.